All the following are true about pseudomembranous colitis except.
1. Clostridium difficile is the agent
2. Diarrhoea is the most common manifestation
3. Pseudomembrane formation
4. Vancomycin is responsible

Correct answer: 4. Vancomycin is responsible

Explanation: Oral vancomycin is the DOC for pseudomembranous colitis.